Hypokalemia with hypertension is seen in?
1. Bartter syndrome
2. Primary hyperaldosteronism
3. Primary hyperparathyroidism
4. Diuretic therapy

Correct answer: 2. Primary hyperaldosteronism

Explanation: The hypokalemia (low potassium level) can cause symptoms like fatigue, numbness, increased urination, increased thirst, muscle cramps, and muscle weakness. Hyperaldosteronism causes hypokalemia with hyper tension an increased risk for heart attacks, heart failure, strokes, kidney failure, and early death Ref Davidson 23rd edition pg 371